Starvation and diabetes mellitus can lead on to ketoacidosis. Which of the following features is in favour of ketoacidosis due to diabetes mellitus -
1. Increase in glucagon/insulin ratio, increased cAMP and increased blood glucose
2. Decreased insulin, increased free fatty acid which is equivalent to blood glucose
3. Decreased insulin, increased free fatty acid which is not equivalent to blood glucose
4. Elevated insulin and free fatty acid, equivalent to blood glucose

Correct answer: 1. Increase in glucagon/insulin ratio, increased cAMP and increased blood glucose

Explanation: Increase in glucagon/insulin ratio, increased c-AMP & increased blood sugar

In diabetes little glucose is oxidized as fuel, except by the brain. The rest of tissues bum a large amount of fat, particularly the liver where the amount of acetyl CoA formed from fatty acids exceeds the capacity of the tricarboxylic acid cycle to oxidize it. The excess acetyl CoA is converted to ketone bodies leads to ketonemia, ketonuria and ketoacidosis.
Diabetics not only have a defect in the tissue utilization of glucose but also appears to be metabolically poised to produce maximum amount of glucose from amino acids (gluconeogenesis) and to prevent glucose from being utilized to form fat. (fat synthesis).
Insulin is decreased and glucagon is increased leads to ↑glucagon / insulin ratio. Glucagon acts via elevation in c-AMP.